In anti retroviral therapy, Zidovudine should not be combined with :
1. Lamivudine
2. Nevirapine
3. Didanosine
4. Stavudine

Correct answer: 4. Stavudine